Drug that is used for fetal lung maturity is:-
1. Dexamethasone
2. Folic acid
3. Beclomethasone
4. Micronized progesterone

Correct answer: 1. Dexamethasone

Explanation: Maternal administration of corticosteroid is advocated where the pregnancy is less than 34 weeks. This helps in fetal lung maturation so that the incidence of RDS, IVH, NEC, and PDA are minimized. Doses: Dexamethasone- 6mg IM every 12 hours for 4 doses is given Betamethasone- 12mg IM 24 hours apart for 2 doses is given